Pre-exposure prophylaxis for Rabies is given on
1. Days 0, 3, 7, 14, 28, 90
2. Days 0, 3, 7, 28, 90
3. Days 0, 3
4. Days 0, 7, 28

Correct answer: 4. Days 0, 7, 28